Vaccine can be stored at PHC for:-
1. 2 day
2. 7 days
3. 15 days
4. 30 days

Correct answer: 4. 30 days

Explanation: - Vaccine storage duration at PHC level is maximum of 1 month Storage of vaccines at different levels: STORAGE LEVEL STORAGE DEVICES DURATION OF STORAGE STATE/ REGIONAL LEVEL walk in cold rooms walk in freezer 3 months CHC/ DISTRICT LEVEL Large ILR Large deep freezer 1 month PHC Small ILR Small deep freezer 1 month SUBCENTER LEVEL Vaccine carriers 24-48hrs VILLAGE LEVEL Ice packs 2-4hrs